The biologic standard used to test the efficiency of sterilization involves the use of
1. Spores of Clostridium tetani
2. Streptococcus pneumoniae
3. Spores of Vibrio
4. Mycoplamsa

Correct answer: 1. Spores of Clostridium tetani

Explanation: Spores of Clostridium tetani is used for Dry Heat; 106 spores are used.For moist heat, Bacillus stearothermophilus are usedReference: Ananthanarayan and Paniker's Textbook of Microbiology; 10th edition